Rose spot is associated with?
1. Typhoid fever
2. Malaria
3. Scarlet fever
4. Wilson disease

Correct answer: 1. Typhoid fever

Explanation: Enteric fever: In 25% of cases, a macular or maculopapular rash (rose spots) may be visible around the 7th-10th day of the illness These lesions may be difficult to see in dark-skinned children.